Stainless steel alloys show
1. Hookian elasticity
2. Shape memory
3. Super elasticity
4. None of the above

Correct answer: 1. Hookian elasticity